An elective surgery is to be done in a patient taking heavy doses of Aspirin. Management consists of :
1. Proceed with surgery
2. Stopping aspirin for 7 days and then do surgery
3. Preoperative platelet transfusion
4. Intra operative platelet transfusion

Correct answer: 2. Stopping aspirin for 7 days and then do surgery

Explanation: Ans. is 'b' i.e., Stop aspirin for 7 days and then do surgery "Aspirin should be stopped 1 week before elective surgery." - KDT Aspirin, even in small doses, irreversibly inhibits Thrombooxane A2 (TXA2) synthesis by platelets. Thus it interferes with platelet aggregation and increase the bleeding time. This effect lasts for a week, the turnover time of platelets.